Napier's Aldehyde test is done for:
1. Kala-azar
2. Malaria
3. Acanthamoeba
4. Entamoeba

Correct answer: 1. Kala-azar

Explanation: Ans: A (Kala-azar) "Napier's Aldehyde test & Chopra's antimony test are nonspecific serum test for Leishmaniasis''-Panikar Parasitology 7th/58